Hot air oven cannot be used for sterilising:
1. Liquid paraffin
2. Instruments
3. Culture media
4. Needles

Correct answer: 3. Culture media